Lateral ventricle is connected to the third ventricle by the?
1. Foramen of Monro
2. Foramen of Magendie
3. Foramen of Luschka
4. Median foramen

Correct answer: 1. Foramen of Monro

Explanation: Ans. A. Foramen of monroThe lateral ventricles are the two largest cavities of the ventricular system of the human brain and contain cerebrospinal fluid (CSF). Each cerebral hemisphere contains a lateral ventricle, known as the left or right ventricle, respectively.Each lateral ventricle resembles a C-shaped structure that begins at an inferior horn in the temporal lobe, travels through a body in the parietal lobe and frontal lobe, and ultimately terminates at the interventricular foramina of Monro where each lateral ventricle connects to the single, central third ventricle.